Following vasectomy for family planning, a patient should be advised to use some other method of contraception, till :
1. Removal of all sutures
2. Pain completely subsides
3. Two weeks
4. None

Correct answer: 4. None